Volcano ulcers in esophagus are seen in:
1. Herpetic esophagitis
2. Candida esophagitis
3. Apthous ulcer in Crohn
4. HIV esophagitis

Correct answer: 1. Herpetic esophagitis

Explanation: Volcano ulcers - Herpetic esophagitis - odynophagia Candida esophagitis Whitish plague adheres to wall of esophagus